Beta Oxidation in Peroxisome generates:
1. H2O2
2. NADPH
3. Long Chain fatty acid
4. FADH2

Correct answer: 1. H2O2

Explanation: Beta oxidation In mitochondria. FADH2 and NADH are produced In peroxisomes Acetyl CoA and H2O2are produced